An infant develops cough and fever. The X-ray examination is suggestive of broncho-pneumonia. All of the following viruses can be the causative agent except -
1. Parainfluenza viruses
2. Influenza virus A
3. Respiratory syncytial virus
4. Mumps virus

Correct answer: 4. Mumps virus

Explanation: Ans. is 'd' i.e., Mumps virus o The peak attack for viral pneumonia is between the age of 2"d and 3'd years and decrease thereafter. o Viruses causing pneumonia are - RSV Influenza